Following are side effects of insulin except:
1. Edema
2. Albuminuria
3. Hypoglycemia
4. Lipodystrophy

Correct answer: 2. Albuminuria

Explanation: Albuminuria